Which of the following is the most important adjuvant therapy in fungal corneal ulcer:
1. Atropine sulphate eye ointment
2. Dexamethasone eye drops
3. Lignocaine eye drops
4. Pilocarpine eye drops

Correct answer: 1. Atropine sulphate eye ointment

Explanation: Atropine sulphate causes decrease in ciliary spasm and causes mydriasis thus preventing the chance of posterior synechia. It also increases blood supply to the anterior uvea by reliving pressure from the anterior ciliary arteries and brings antibodies to the aqueos humour. It reduces exudation by decreasing hyperaemia and vascular permeablity. Ref: A.K KHURANA (2005), Chapter 5, "Disease of The Cornea", In the book, "Opthalmology", 3rd Edition, Newdelhi, Page 121